In the WHO recommended EPI Cluster sampling for assessing primary immunization coverage, the age group of children to be surveyed is-
1. 0-12 months
2. 6-12 months
3. 9-12 months
4. 12-23 months

Correct answer: 4. 12-23 months